Rate of newly synthesized osteoid mineralization can be best estimated by
1. Tetracycline labeling
2. Alizarin red stain
3. Calcein stain
4. Van kossa stain

Correct answer: 1. Tetracycline labeling

Explanation: Rate of mineralisation is determined by Labelled Tetracycline. ref:maheswari,5th edition page no.12